"Pautrier's microabscess" is a feature of
1. Psoriasis
2. Malignant melanoma
3. Bullous Pemphigoid
4. Cutaneous T. Cell lymphoma

Correct answer: 4. Cutaneous T. Cell lymphoma

Explanation: "Pautrier's microabscess" is collection of atypical T - cells in epidermis seen in cutaneous T - cell lymphoma.